Malignant pustule is seen in
1. Cutaneous anthrax
2. Carbuncle
3. Ulcerating melanoma
4. Infected rodent ulcer

Correct answer: 1. Cutaneous anthrax

Explanation: Cutaneous anthrax Anthrax is primarily a disease of the domestic animals. Humans are usually accidental hosts when brought into contact with infected animals There are three major forms of disease: Cutaneous anthrax Acquired, skin Inhalational anthrax --> Inhalated, spores Gastrointestinal anthrax Analogus to cutaneous anthrax but occurs on intestinal mucosa. The most common form of anthrax is cutaneous anthrax which is usually occurred injured skin or musous membrane Cutaneous anthrax Cutaneous anthrax usually begins 2-5 days after inoculation of spores into an exposed part of the body typically the forearm or the hand. The initial lesion is an erythematous papule which may be mistaken .for insect bite. This papule usually progresses through vesicular and ulcerative stages in 7-10 days to form a black eschar surrounded by edema The lesion is known as "malignant pustule" although it is neither malignant nor pustule. Associated .symptoms are usually mild and the lesion typically heals very slowly after the eschar separates. Cutaneous anthrax generally resolves spontaneously but 10-20% of untreated patients may develop septicemia. Cutaneous anthrax generally resolves spontaneously but 10-20% of untreated patients may develop fatal septicemia or meningitis.